Following malignancies most frequently cause hypercalemia except -
1. Breast
2. Kidney
3. Lung
4. Heart

Correct answer: 4. Heart

Explanation: With normal or elevated PTH levels *Primaryoertiaryhyperparathyroidism *Lithium-inducedhyperparathyroidism *Familialhypocalciurichypercalcaemia With low PTH levels *Malignancy(lung,breast,myeloma,renal,lymphoma, thyroid) *Elevated1,25(OH)2vitaminD(vitaminDintoxication, sarcoidosis,HIV,othergranulomatousdisease) *Thyrotoxicosis *Paget'sdiseasewithimmobilisation *Milk-alkalisyndrome *Thiazidediuretics *Glucocorticoiddeficiency. DAVIDSONS PRINCIPLES AND PRACTICE OF MEDICINE 22ND EDITION PAGE NO-767